Localised Langerhans cells histiocytosis affecting head and neck is
1. Letterer-Siwe disease
2. Pulmonary Langerhans cell histiocytosis
3. Hand-Schuller-Christian disease
4. Eosinophilic granuloma

Correct answer: 4. Eosinophilic granuloma

Explanation: d. Eosinophilic granuloma(Ref: Nelson's 20/e p 2484-2489, Ghai 8/e p 620-623)Eosinophilic granuloma: Bone lesions, with no visceral involvement; Localised; affects head and neck